Vanishing bile duct syndrome is seen in?
1. Primary sclerosing Cholangitis
2. Primary biliary cirrhosis
3. Cystic fibrosis
4. All of the above

Correct answer: 4. All of the above

Explanation: Answer-D. All of the abovevanishing bile duct syndrome refers to a group ofdisorders resulting in destruction/disappearance ofthe intrahepatic bile ducts and, ultimately, cholestasis.CausesCystic fibrosisIntrahepatic bile duct atresiaCaroli's diseasePrimary sclerosing CholangitisPrimary biliary cirrhosisHodgkin's lymphoma